Which of the following organ is associated with congenital anomaly "Ectopia cordis"?
1. Lens
2. Lungs
3. Heart
4. Liver

Correct answer: 3. Heart

Explanation: Ectopia cordis is the partial or complete location of the heart outside the thorax.The thoracic type is the classic form of ectopia cordis. In these patients, there is a cleft in the sternum that allows the heart to protrude outside the thoracic cavity.The thoracoabdominal form is a partial form of ectopia cordis that is characterized by partial absence or cleft of the lower sternum.